During uterine contraction of labour, the uterine blood flow :
1. Decreases
2. Increases
3. Does not change
4. Temporarily cases

Correct answer: 1. Decreases

Explanation: Decreases